Recruitment phenomenon is seen in
1. Otosclerosis
2. Meniere's disease
3. Acoustic schwannoma
4. Otitis media with effusion

Correct answer: 2. Meniere's disease

Explanation: Recruitment test which is a special audiometry test is positive in Meniere's disease. Ref: Diseases of EAR, NOSE and THROAT by PL Dhingra; 7th Edition; page no.113